Constrictions in esophagus are seen at all the levels except:
1. At the begining of esophagus
2. At the site of crossing of esophagus by aortic arch
3. Where esophagus pierces the diaphragm
4. At the point of crossing of thoracic duct

Correct answer: 4. At the point of crossing of thoracic duct

Explanation: The esophagus has four constrictions.Where the pharynx joins the upper end - 15 cm from incisor teethThe second is at the where the aortic arch - 22.5 cm from incisor teethThe left bronchus cross its anterior surface - 27.5 cm from incisor teethWhere the esophagus passes through the diaphragm into the stomach - 37.5 cm from incisor teeth These constrictions are of considerable clinical importance because they are sites where swallowed foreign bodies can lodge or through which it may be difficult to pass an esophagoscope.Because a slight delay in the passage of food or fluid occurs at these levels, strictures develop here after the drinking of caustic fluids. Those constrictions are also the common sites of carcinoma of the esophagus.